Which of the following is not approved for treatment of leprosy
1. Ofloxacin
2. Minocycline
3. Azathioprine
4. Clarithromycin

Correct answer: 3. Azathioprine

Explanation: Ref Harrison20th edition pg 1334